Onion peel appearance of splenic capsle is seen in -
1. SLE
2. Scleroderma
3. RA
4. Sjogrens

Correct answer: 1. SLE

Explanation: Ans. is 'a' i.e., SLEMorphological changes in spleen in SLEo Splenomegaly, capsular thickening, and follicular hyperplasia are common features.o Central penicilliary arteries may show concentric initmal and smooth muscle hyperplasia, producing so called Onion-skin lesions.